Regarding bacterial vaginosis, all are true except:
1. Homogeneous vaginal discharge with pH 5.0 to 6.0
2. Positive KOH - With fishy odour
3. Positive WBCs in 50% of cases
4. It is due to gardenella vaginalis

Correct answer: 3. Positive WBCs in 50% of cases

Explanation: - The main organism in bacteria vaginosis is gardenella vaginalis which replaces the lactobacillus in vagina A fishy vaginal odor, which is particularly noticeable following coitus Vaginal secretions are gray and thinly coat the vaginal walls. The pH of these secretions is higher than 4.5 (usually 4.7 to 5.7). Microscopy of the vaginal secretions reveals an increased number of clue cells. Leukocytes are conspicuously absent. In advanced cases of BV, more than 20% of the epithelial cells are clue cells. The addition of KOH to the vaginal secretions (the "whiff" test) releases a fishy, amine like odour. There is no associated inflammation or edema and that's why it is called vaginosis in place of vaginitis